Cells central to the production of pancreatic fibrosis are?
1. Alpha cells
2. Beta cells
3. Stellate cells
4. Acinar cells

Correct answer: 3. Stellate cells

Explanation: Ans. is 'c' i.e., Stellate cells * Star-shaped cells pancreatic stellate cells (PSCs), residing in periacinar space in the pancreas are confirmed to play central role in the fibrogenesis.* Increase desmin, glial fibrillary acidic protein (GFAP) and a-smooth muscle actin (a-SMA) expression in pancreatic fibrosis, is a hallmark of PSCs activation because they are specific PSC markers .Pancreatic fibrosis* Pancreatic fibrosis is a characteristic feature of chronic pancreatitis.* Inflammation within pancreas activates pancreatic stellate cells (PSCs), which greatly contributed to the pathogenic processes by causing loss of lipid droplets & increased proliferation, migration, ECM protein production and cytokine secretion.* Recruitment of other inflammatory cells further exacerbates pancreatic inflammation, leading to destruction of acinar cells and islet cells, which is then replaced by massive fibrosis. Therefore pancreatic fibrosis impairs exocrine and endocrine functions of pancreas.* Increased production & deposition of extracellular matrix (ECM) proteins such as type I collagen, fibronectin and periostin, is essential for the formation of fibrosis.* Transforming growth factor-b (TGF-b) and platelet derived growth factor (PDGF) are wellknown growth factors activating PSCs* Pancreatic fibrosis also affects the macroscopic ductal structure of the pancreas, typically results in the dilatation of main pancreatic duct or formation of pancreatic stones, derived from inadequate drainage of pancreatic juice. Obstruction of the main pancreatic duct could be a cause of acute exacerbation of chronic pancreatitis, which further promotes the necrosis-fibrosis sequence.